DOC for listeria meningitis -
1. Ampicillin
2. Cefotaxime
3. Cefotriaxone
4. Ciprofloxacin

Correct answer: 1. Ampicillin

Explanation: Answer- A. AmpicillinThe antibiotic of choice for listeria infection is ampicillin or penicillin G.